Acantholysis is seen in all except
1. Pemphigus vulgaris
2. Darrier's disease
3. SSSS
4. Bullous pemphigoid

Correct answer: 4. Bullous pemphigoid

Explanation: Acantholysis seen in diseases such as pemphigus vulgaris, pemphigus foliaceous,SSSS, Dariers disease. It is absent in bullous pemphigoid, making it useful for differential diagnosis. page no.110.Reference IADVL's concise textbook of dermatology